cimetidine inhibits the metabolism of all the following drugs except:
1. phenytoin
2. warfarin
3. ketoconazole
4. diazepam

Correct answer: 3. ketoconazole

Explanation: cimetidine is a potent inhibitor of.microsomal enzymes.it prolongs the half life of warfarin, theophyllin ,phenytoin,oral hypoglycemic agents ,alcohol and benzidiazepines.(ref KDT 6/e p630)